In the setting of G-proteins which of the following is considered a third messenger :
1. cAMP.
2. Calcium.
3. CO.
4. NO.

Correct answer: 2. Calcium.

Explanation: Calcium is considered as a third messenger.